Which of the following are physiological antagonists
1. Adrenaline and Isoprenaline
2. glucagon and insulin
3. Isoprenaline and Propranolol
4. All of the above

Correct answer: 2. glucagon and insulin

Explanation: Adrenalin and histamine and glucagon, insulin are physiological antagonists Physiological antagonism - opp effect on the same physiological system by two drugs glucagon increases blood glucose, insulin decreases- blood glucose adrenaline- bronchodilatation histamine- broncho constriction Ref KD Tripathi 8th ed.